AIDS virus spreads in the body through (MHT-CET)
1. Suppressor T-cells
2. Carrier T-cells
3. Helper T-cells
4. Killer T-cells

Correct answer: 3. Helper T-cells

Explanation: Helper T cells are arguably the most important cells in adaptive immunity, as they are required for almost all adaptive immune responses.
They not only help activate B cells to secrete antibodies and macrophages to destroy ingested microbes, but they also help activate cytotoxic T cells to kill infected target cells.